Radioisotope used in PET scan is?
1. Tachnetium 99m
2. Iodine 123
3. Iodine 131
4. Fluoride-18

Correct answer: 4. Fluoride-18

Explanation: Ans. (d) Fluoride-18Ref. Sutton's radiology, 7th ed. H826